Which is the shortest extra ocular muscle
1. Superior oblique
2. Inferior oblique
3. Medial rectus
4. Lateral rectus

Correct answer: 2. Inferior oblique

Explanation: Longest EOM - Superior oblique.
Shortest EOM - Inferior oblique.